In high potassium serum levels, kidney compensation occurs by?
1. Decreased reabsorption in PCT
2. Increased secretion in PCT
3. Increased secretion in DCT
4. Decreased reabsorption in loop of Henle

Correct answer: 3. Increased secretion in DCT

Explanation: Ans. is'c'i.e., Increased secretion in DCT[Ref: Guyton & hall p. 201Potassium transport:Potassium is one of the few substances that are both reabsorbed as well as secreted by the renal tubules.The reabsorption of about two-thirds of the filtered K+ occurs in the proximal tubulesK+ reabsorption as weII as secretion takes place.Here also, reabsorption of K+ occurs independent of K+ status of the body.It is the secretory process that K+ regulated by aldosterone in response to the K+ and Na+ status of body.